Which of the following statements about Branchial cysts is true:
1. 50-70% are seen in lungs
2. Most common site is mediastinum
3. They are premalignant lesions
4. Infection is uncommon in Pulmonary bronchogenic cysts

Correct answer: 2. Most common site is mediastinum

Explanation: Most common site of bronchial/bronchogenic cysts is mediastinum. Only about 15% of bronchogenic cysts occur in the lungs (pulmonary bronchial cysts). Pulmonary bronchogenic cysts often become infected. Bronchogenic cysts are benign lesion and do not have malignant potential (not premalignant). Bronchial Cyst/Bronchogenic cysts: Review Bronchial cysts represent islands of bronchial tissue left behind during the branching of the airways during early fetal development. They arise due to abnormal budding of the tracheobronchial tree and foregut and are lined by bronchial epithelium. The most common site of bronchial cysts is mediastinum. The other site of bronchial cyst is within the pulmonary parenchyma (lung) (Less common site - 15%) Ref : Bailey and love surgery text book 27th Ed